A 17-year-old female visits the family dermatologist because of severe facial acne. During physical examination it was found that there was a rather obvious and painful lesion on the side of her nose. The patient was given antibiotics and warned not to press or pick at the large, inflamed swelling. If she were to squeeze, prick, or incise such a lesion in the area between the eye and the upper lip, or between the eye and the side of the nose, the infection could spread to the cavernous sinus. Which of the following pathways of spread of infection would be most typical?
1. Nasal venous tributary to angular vein, to superior ophthalmic vein, then to cavernous sinus
2. Retromandibular vein to supraorbital vein, then to inferior ophthalmic vein, then to cavernous sinus
3. Dorsal nasal vein to superior petrosal vein, then inferior ophthalmic vein to cavernous sinus
4. Facial vein to maxillary vein, then middle meningeal vein to cavernous sinus

Correct answer: 1. Nasal venous tributary to angular vein, to superior ophthalmic vein, then to cavernous sinus

Explanation: Infection in the danger area of the face can lead to cavernous sinus thrombosis because infection spreads from the nasal venous tributary to the angular vein, then on to the superior ophthalmic vein, which passes into the cavernous sinus. None of the other routes listed would be correct for drainage from the danger area of the face.